Abbey Estlander flap is based on:
1. Lingual artery
2. Facial artery
3. Labial artery
4. Internal maxillary artery

Correct answer: 3. Labial artery